Malignant otitis externa is due to?
1. Wax impaction
2. Hypertension
3. Diabetes
4. Dyslipidemia

Correct answer: 3. Diabetes

Explanation: It is an inflammatory condition caused by Pseudomonas infection, usually in the elderly diabetics, or in those on immunosuppressive drugs. There will be excruciating pain and granulations in the ear canal. (Ref: Textbook of diseases if ENT, PL Dhingra, 7th edition, pg no. 55)